Which of the following is a most reliable clinical endpoint to indicate adequate atropinization in organophosphorus poisoning
1. Pupillary dilation
2. Control of diarrhoea
3. Heart rate more than or equal to 100 beats per minute
4. Absence of Pulmonary secretion

Correct answer: 4. Absence of Pulmonary secretion

Explanation: Refer emedicine.medscape.com signs of atropinization appears. Thesesigns include warm, dry, flushed skin; dilated pupils; and an increased heart rate. Atropine should be used for at least 24 hours to reverse the cholinergic signs while the organophosphate is metabolized Atropine - The endpoint for atropine is dried pulmonary secretions and adequate oxygenation. Tachycardia and mydriasis must not be used to limit or to stop subsequent doses of atropine. The main concern with OP toxicity is respiratory failure from excessive airway secretions